Which of the following factors has maximum effect on filtration of a drug by the glomerulus ?
1. Lipid solubility
2. Plasma protein binding
3. Degree of ionization
4. Rate of tubular secretion

Correct answer: 2. Plasma protein binding

Explanation: - Main Factors determining glomerular filtration

   Renal blood flow
   Plasma protein binding

- Lipid solubility does not affect glomerular filtration.
- Ionization determines tubular reabsorption. 
- Tubular secretion happens after glomerular filtration and so does not affect the process.